Contraindication of OC Pills
1. Liver disease
2. PID
3. Renal disease
4. Epilepsy

Correct answer: 1. Liver disease

Explanation: Contraindications of OCP's Absolute contraindications Relative contraindications: (Require medical surveillance) Breast cancer Genital cancer Liver disease H/o thromboembolism Cardiac abnormalities Congenital hyperlipidemia. Undiagnosed abnormal uterine bleeding Pregnancy Age >40 years Smoking and age >35 years Mild hypertension Chronic renal disease Epilepsy Migraine Nursing mothers (0-6 months) Diabetes mellitus Gall bladder disease History of infrequent bleeding Amenorrhoea Ref: Park 25th edition Pgno : 537